Best prognosis after nerve repair:
1. Radial
2. Median
3. Sciatic
4. Ulnar

Correct answer: 1. Radial

Explanation: Ans. is 'a' i.e. Radial A purely motor or sensory nerve has better prognosis than mixed nerves as there is no axonal confusion. Radial nerve is a pure motor nerve. All other nerves mentioned in the question are mixed nerves.Review of Surgery by Mostafa, Cathey & Greene p 112 writes - "The type of nerve involved is also important. A pure motor or sensory nerve recovers better than a nerve containing both motor & sensory fibres. Thus the radial and musculocutaneous nerves, which are primarily motor nerves, recover better than the mixed medial nerves, and the tibial division of the sciatic nerve fares better than the peroneal division ".Various websites write that - 'the radial nerve has the best prognosis in upper limb'.